Which of the following is indicator of Completed family size?
1. Birth rate
2. Total fertility rate
3. Net reproduction rate
4. Gross reproduction rate

Correct answer: 2. Total fertility rate

Explanation: Ans. b (Total fertility rate) (Ref. Park's textbook of PSM 22nd/386)FERTILITY RELATED STATISTICSTotal Fertility Rate (TFR)Total fertility rate represents the average number of children a women would have if she were to pass through her reproductive years bearing children at the same rates as the women now in each age group give the approximate magnitude of "COMPLETED FAMILY SIZE".General Fertility Rate (GFR)=Number of live births in an area during the year------------------------------------------Midyear female population age 15-44 (or) 49 in the same area in same yrx 1000General Marital Fertility Rate (GMFR)Number of live births per % 1000 married women in the reproductive age group (15-44 or 49) in a given year.Age-specific Fertility RateThey are also sensitive indicators of family planning achievement.Gross Reproduction Rate (GRR)Average number of girls that would be born to a woman if she experiences the current fertility pattern throughout her reproductive span (15-44 or 49 years).Net Reproduction Rate (NRR)Net reproduction rate (NRR) is defined as the number of daughters a newborn girl will bear during her lifetime assuming fixed age-specific fertility and mortality rates.